HPV triage strategy includes all except
1. Conventional pap smear
2. Liquid based cytology
3. Hybrid capture 2 for HPV DNA
4. Colposcopy

Correct answer: 1. Conventional pap smear

Explanation: HPV Triage strategy Liquid based thin layer cytology: atypical squamous cells Hybrid capture 2 for HPV DNA HPV DNA POSITIVE: If high risk strains proceed with colposcopy and directed biopsy NEGATIVE: Repeat smear after one year Ref: D.C.DUTTA'S TEXTBOOK OF GYNECOLOGY; 6th edition; Pg no:324